Tearing of the skin and subcutaneous tissue is called-
1. Abrasion
2. Laceration
3. Contusion
4. Avulsion

Correct answer: 2. Laceration

Explanation: o Lacerations are tears or splits of skin, mucous membrane and underlying tissue (e.g. muscle or Internal organs).